Most common heart disease in pregnancy is :
1. ASD
2. Eisenmenger's
3. MS
4. AS

Correct answer: 3. MS

Explanation: MS